A 46-year-old female presents to casuality with chest pain. Her BP is 140/80mmHg, heart rate 90bpm, and saturations 99% on roomair. What should be yournext step ?
1. Administeroxygen
2. Administer analgesia
3. Give aspirin300mg
4. Perform a 12-leadECG

Correct answer: 4. Perform a 12-leadECG

Explanation: An ECG should be performed as soon as possible as prompt diagnosis of ST elevation MI is essential. The majority of patients presenting with chest pain are of non-ischaemic origin and so the other treatments may not be necessary. If ACS is suspected, aspirin should be given first. Oxygen is not recommended in the chest pain management unless saturations are <94%